Most potent loop diuretic is:
1. Furosemide
2. Bumetanide
3. Torsemide
4. Ethacrynic acid

Correct answer: 2. Bumetanide

Explanation: Bumetanide is most potent loop diuretic Torsemide is longest acting loop diuretic.